Indicator of Remote contamination of water
1. Fecal Streptococci
2. Clostridium Perfirengens
3. E. Coli
4. Salmonella Typhi

Correct answer: 2. Clostridium Perfirengens

Explanation: Bacteriological Indicators of Water Quality E Coli: Best indicator. Ideally water should be coliform free except large urban water supplies where up to 5% contamination is acceptable if samples are taken up to 1year. For this screening test used is presumptive coliform count, MPN (Most Probable Number) and multiple tube test. Diagnostic test is EIJKMAN'S test. Faecal streptococci: Best tells recent contamination Clostridium perfringens: Best tells remote contamination